The MOST important risk factor for pancreatic cancer among the following is:
1. Cigarette smoking
2. Chronic pancreatitis
3. Diabetes
4. Alcohol

Correct answer: 1. Cigarette smoking

Explanation: All are risk factors of pancreatic malignancy except alcohol. Cigarette smoking is the most common environmental risk factor for pancreatic malignancy. Other risk factors are chronic pancreatitis and diabetes. ALSO NOTE: Alcohol does not appear to be a risk factor. Ref: Harrison, Edition -18, Page-787